Heerfordt's disease is characterised by all of the following except
1. Painful enlargement of parotid glands
2. Cranial nerve palsies
3. Skin rashes, fever and malaise
4. Unilateral non-granulomatous panuveitis

Correct answer: 4. Unilateral non-granulomatous panuveitis

Explanation: Uveoparotid fever (Heerfordt's syndrome) It is characterised by bilateral granulomatous pan-uveitis, painful enlargement of parotid glands,cranial nerve palsies, skin rashes, fever and malaise. Ref:- A K KHURANA; pg num:-156